Clara cells are present in -
1. Alveoli
2. Bronchus
3. Bronchioles
4. Trachea

Correct answer: 3. Bronchioles

Explanation: Clara cells are present in bronchiole.